The difference between gram positive and negative bacteria lies in their
1. Cell wall
2. Cell membrane
3. Nuclear material
4. Mesosomes

Correct answer: 1. Cell wall